Any child with caries before_________ years is called ECC:
1. 2 years
2. 3 years
3. 5 years
4. 6 years

Correct answer: 4. 6 years